The normal habitat of giardia is-
1. Duodenum and jejunum
2. Stomach
3. Caecum
4. Ileum

Correct answer: 1. Duodenum and jejunum

Explanation: Ans. is 'a' i.e., Duodenum and jejunum o Giardia is a flagellate protozoao It is the only common protozoa that inhabits the duodenum and jejunum (upper small intestine) of human.o Infective form - Cysto Mode of transmission - Ingestion of cystMorphologyo G Iambi ia exists in two forms.1) Trophozoite# It is tennis or badminton racket shaped/piriform shaped/tear drop shaped in frontal view and spoon shaped (sickle) in lateral view.# It is bilateral symmetrical and all organs of body are paired with :i) Two nucleic,ii) Four pairs of flagella,iii) Two axostyles,iv) Two parabasal bodies,v) Two sucking discsTrophozoite show "falling-leaf' motility.2) Cyst:# It is oval in shape and contains 4 nuclei, remains of flagella and axostyles.